'Ring sign' is seen in:
1. Scurvy
2. Congenital syphilis
3. Gaucher's disease
4. All of the above

Correct answer: 1. Scurvy

Explanation: Ans. A i.e. Scurvy